Which type of eclampsia is most common
1. Antepartum
2. Postpartum
3. Intrapartum
4. Imminent

Correct answer: 1. Antepartum

Explanation: Onset of fits : Fits occur more commonly in the third trimester On rare occasions, convulsions may occur in early months as in hydatiform mole . Antepartum - 50% Imtrapaum - 30% Postpartum - 20 Ref: Dutta Obs 9e pg 218.